What is the ponderal index of a child with weight 2000 g and height 50 cm
1. 1.6
2. 3.6
3. 2.2
4. 2.6

Correct answer: 1. 1.6

Explanation: Ponderal index(PI) is calculated by multiplying the weight in grams by hundred and then dividing by cube of length in cm. Therefore, PI = 2000 x 100 / 50^3 =1.6 This parameter is usually less than 2 in asymmetrical IUGR baby and 2 or more in a baby who has either normal growth or has symmetrical IUGR. Reference : page 137 Ghai Essential Pediatrics 8th edition